Prolong the use of the following that has been implemented in the causation of myelo-optic neuropathy (SMON)
1. Diloxanide furoate
2. Quiniodochlor
3. Emetine
4. Furazolidone

Correct answer: 2. Quiniodochlor

Explanation: 8-hydroxyquinoline like quiniodochlor can result in SMON Ref-KDT 6/e p801